Which of the following plays an important role in retinol mobilization?
1. Zinc
2. Iron
3. Manganese
4. Magnesium

Correct answer: 1. Zinc

Explanation: Zinc plays an important role in retinol mobilization.